Darkening of urine on standing is associated with:
1. Alkaptonuria
2. Cystinuria
3. Fabry's disease
4. Tyrosinemia

Correct answer: 1. Alkaptonuria

Explanation: a. Alkaptonuria(Ref: Nelson's 20/e p 636-642, Ghai 8/e p 653-655)Darkening of urine on standing is associated with Alkaptonuria, due to Homogentisic acid oxidase deficiency.